All of the following are true about corneal endothelium except:
1. Cell density is about 3000 cells/min' at birth
2. Corneal decompensation occurs when cell count is decreased by 50 percent
3. Endothelial cells contain active pump mechanism
4. Endothelium is best examined by specular microscopy

Correct answer: 2. Corneal decompensation occurs when cell count is decreased by 50 percent

Explanation: Ans. Corneal decompensation occurs when cell count is decreased by 50 percent